The drug of choice in treatment of infantile spasms is:
1. ACTH
2. Phenobarbitone
3. Carbamazepine
4. Phenytoin

Correct answer: 1. ACTH

Explanation: Corticosteroids afford symptomatic relief. Valproate and clonazepam have adjuvant value. Vigabatrin has some efficacy Refr: KD Tripatih 8th ed.